A middle aged female has flaccid bullae in the skin and oral erosion. Histopathology shows intraepidermal acanthololytic blisters. The most likely diagnosis is –
1. Pemphigus vulgaris
2. Paraneoplastic pemphigus
3. Bullous pemphigoid
4. Dermatitis hepatiformis

Correct answer: 1. Pemphigus vulgaris

Explanation: Clues given are :-


Flaccid bullae
Oral erosion (mucosal involvement)
Intraepidermal acantholysis


Diagnosis is pemphigus vulgaris.